A hormone acts to stimulate its neighbouring cell to divide. This hormone would best be described as belonging to which category of hormones?
1. Paracrine.
2. Autocrine.
3. Endocrine.
4. None of the above

Correct answer: 1. Paracrine.

Explanation: The terminology used is a classical description of the relationship between the hormone source and target tissue.

Paracrine refers to the target tissue as a cell in close proximity to the secreting tissue.
Autocrine stimulation refers to cell that releases a factor (hormone) which stimulates the cell from which it was released.
Endocrine factors are hormones that have an effect at a distal site in the body.